Treatment of dacryocystitis in three months old child-
1. Daily probing
2. Weekly probing
3. Massaging
4. Syringing

Correct answer: 3. Massaging

Explanation: *Spontaneous recanalization of obstructed nasolacrimal duct occurs during first 6-8 weeks and sometimes after 6-12 months in 90%of infants. Therefore up to 9-12months only massage and antibiotic drops are indicated. After the age of 12 months high pressure syringing is indicated.